List the odd one out among the following
1. Trisomy 18 (Noonan syndrome)
2. Trisomy 21 (Downs syndrome)
3. Trisomy 18 (Edwards synd.)
4. Trisomy 13 (Patau synd.)

Correct answer: 1. Trisomy 18 (Noonan syndrome)

Explanation: Trisomy 18 is Edward syndrome & not Noonan syndrome. Noonan syndrome occurs in both males and females with a normal karyotype(46,XX and 46,XY). Refer to the image below.